Crede's method refers to instillation of:
1. 1% silver nitrate
2. 1% methyl cellulose
3. 1% chloramphenicol
4. 1% saline wash

Correct answer: 1. 1% silver nitrate

Explanation: Ans. a (1 % silver nitrate) Ref: AK Khurana, 3rd ed, p. 98; 4th ed, p. 72.1 % silver nitrate solution instillation into the eye of the babies immediately afterbirth is known as Crede's method. It's a post natal measure against ophthalmia neonatorum.Ophthalmia neonatorum is the name given to bilateral inflammation of conjunctiva in infants < 30 days old. It is important to know the I.P depending on the different types of agents causing ophthalmia neonatorum:-Causative agentIncubation period1. Chemical4-6 hours2. Gonococcal2-4 days3. Other bacterial4-5 days4. Neonatal inclusion conjunctivitis5-14 days5. Herpes simplex5-7 daysRemember: Blanket antibiotic therapy - application of 1 % tetracycline eye ointment twice daily for 5 days in a month for 6 months for endemic trachoma(i.e., prevalence > 5)